Which of the following do not have ribosomes for protein synthesis
1. Bacteria
2. Viruses
3. Fungi
4. Rickettsia

Correct answer: 2. Viruses

Explanation: Bacteria doesn't have complex organelles but ribosomes are present in 30, 50 and 80S. Fungi have all organelle as it is a eukaryotic cell.